Which of the following is used for staging of CKD?
1. e-GFR and serum creatinine
2. e-GFR and serum albumin
3. e-GFR and urine output/d
4. e-GFR and albuminuria

Correct answer: 4. e-GFR and albuminuria

Explanation: e-GFR and albuminuria- used for staging of CKD